What will be next investigation to be done in case of a 2 year old female child with episode of UTI ?
1. Abdominal Ultrasound
2. DMSA Scan
3. 6 monthly urine culture
4. Nothing actively needed

Correct answer: 1. Abdominal Ultrasound

Explanation: Ans is 'a' ie Abdominal ultrasound Detailed Radiological investigations are performed in i) < 3 yrs. old with first UTI ii) those with symptoms of pyelonephritis iii) recurrent UTI iv) abnormal voiding or persistently distended bladder v) family h/o UTI or hypertension So, in this pt. of 2 yrs. an abdominal U/S will be done to delect any renal anomaly.